5-year old male child presented to AIIMS pediatrics OPD with severe transfusion requiring anemia and Jaundice. On examination Liver and spleen were palpable 5 cm below the costal margin. Peripheral smear analysis showed the following? What is your diagnosis?
1. Nutritional anemia
2. Aplastic anemia
3. Autoimmune hemolytic anemia
4. Thalassemia

Correct answer: 4. Thalassemia

Explanation: Ans. (d) ThalassemiaSevere transfusion requiring anemia and Jaundice with smear showing Anisopoikilocytosis and targets on smear suggests Thalassemia.